Critical path is showm by
1. Money
2. Man power
3. Time
4. Proper sequence

Correct answer: 3. Time

Explanation: Ref:Park's Textbook of Preventive and Social Medicine 25th Ed